Runt disease is associated with?
1. Acute rejection
2. Hyperacute rejection
3. Chronic rejection
4. Graft versus host disease

Correct answer: 4. Graft versus host disease

Explanation: Runt disease is Graft versus host disease.
Runt disease occurs when immunologically competent donor cells are transplanted into immunologically crippled (immunocompromised) hosts and the transferred cells recognize host cells as alloantigens.